The gas responsible for Bhopal gas tragedy was?
1. Methyl isocyanate
2. Potassium iso thiocyanate
3. Sodium isothiocyanate
4. Ethyl isothiocyanate

Correct answer: 1. Methyl isocyanate

Explanation: ANSWER: (A) Methyl isocyanateREF: http: //en.wikipedia. org/wiki/Bhopal_disaster,http://en.wikipedia.org/wiki/ Methyl_isocyanateThe Bhopal disaster also known as Bhopal Gas Tragedy was one of the world's worst industrial catastrophes, it occurred on the night of December 2-3, 1984 at the Union Carbide India Limited (UCIL) pesticide plant in Bhopal, Madhya Pradesh, India. A leak of methyl isocyanate gas and other chemicals from the plant resulted in the exposure of hundreds of thousands of peopleMethyl isocyanate is an intermediate chemical in the production of carbamate pesticides (such as carbaryl, carbofuran, methomyl, and aldicarb). It has also been used in the production of rubbers and adhesivesSynonyms are isocyanatomethane, methyl carbylamine, and MIC